The part most commonly involved Otosclerosis is -
1. Oval window
2. Round window
3. Tympanic membranes
4. Malleus

Correct answer: 1. Oval window